All are important pathogens causing pneumonia in COPD patients, EXCEPT:
1. Haemophilus influenzae
2. Pseudomonas aeruginosa
3. Legionella spp
4. Klebsiella pneumoniae

Correct answer: 4. Klebsiella pneumoniae

Explanation: All are important pathogens causing pneumonia in COPD patients Haemophilus influenzae Pseudomonas aeruginosa Legionella spp S. pneumoniae Moraxella catarrhalis Chlamydia pneumoniae Klebsiella is an important pathogen causing pneumonia in chronic alcoholism. Ref: Harrison, E-18, P-2132